Recommended daily dietary allowance of vitamin A for infants is
1. 100-200 microgram
2. 300-400 microgram
3. 500-600 microgram
4. 750 microgram

Correct answer: 2. 300-400 microgram

Explanation: Recommended daily dietary allowance for vitamin A for an infant is 300-400 microgram. Ref: Page 120; Ghai essential pediatrics; 6th edition